Virus causing hepatocellular carcinoma, belongs to ?
1. Hepadanviride
2. Enterovirus
3. Calci virus
4. None

Correct answer: 1. Hepadanviride

Explanation: Ans. is 'a' i.e., Hepadanviride Among the hepatitis viruses, HBV (hepadanavirus) and HCV (flavivirus) can cause hepatocellular carcinoma. Virus HAV, 27 nm RNA HBV, 47 nm DNA HCV, 30-60 nin HDV, 35-37 nm HE'V,32-34nm Picornavirus (Hepadnavirus) RNA, Flavivirus Defective RNA RNA Herpesvirus (Hepatovirus) (Hepacivirus) Deltavirus Modes of infection Fecal-oral Percutaneous, Vertical, Sexual Percutaneous Percutaneous Fecal-oral Age affected Children Any age Adults Any age Young adults Incubation period (days) 15-45 30-180 15-160 30-180 15-60 Onset Acute Insidious Insidious Insidious Acute Illness Mild Occasionally severe Moderate Occasionally severe Mild, except in pregnancy Carrier state Nil Common Present Nil (only with Nil HBV) Oncogenicity Nil Present specially after neonatal infection Present Nil Nil Prevalence Worldwide Worldwide Probably worldwide Endemic areas (Mediterranean, N Europe, Central and N America) Only developing countries (India Asia, Africa Central, America) Specific prophylaxis Ig and Vaccine Ig and vaccine Nil HBV vaccine Nil